Eschar is formed by which of the following organism?
1. B. Henslae
2. B. anthracis
3. Staph aureus
4. E.coli

Correct answer: 2. B. anthracis

Explanation: ANSWER: (B) B. AnthracisREF: Jawetz Microbiology, 24th Ed, Ch. 12Cutaneous anthrax generally occurs on exposed surfaces of the arms or hands, followed in frequency by the face and neck. A pruritic papule develops 1-7 days after entry of the organisms or spores through a scratch. Initially it resembles an insect bite. The papule rapidly changes into a vesicle or small ring of vesicles that coalesce, and a necrotic ulcer develops. The lesions typically are 1-3 cm in diameter and have a characteristic central black eschar. Marked edema occurs. Lymphangitis and lymphadenopathy and systemic signs and symptoms of fever, malaise, and headache may occur. After 7-10 days the eschar is fullydeveloped. Eventually it dries, loosens, and separates; healing is by granulation and leaves a scar. It may take many weeks for the lesion to heal and the edema to subside. Antibiotic therapy does not appear to change the natural progression of the disease.